"Rugger Jersey Spine" is seen in:
1. Fluorosis
2. Archondoplasia
3. Renal osteodystrophy
4. Marfan s syndrome

Correct answer: 3. Renal osteodystrophy

Explanation: Renal osteodystrophy may produce a 'rugger jersy' (striped) appearance in lateral X-rays of the spine, due to alternating bonds of increased and decreased bone density. Ref: Apley's System of Orthopedics and Fractures, 8th Edition, Page 124; Harrison's Principles of Internal Medicine, 16th Edition, Pages 1225-29.